Light rays and X-rays have same
1. Velocity
2. Wavelength
3. Energy
4. Frequency

Correct answer: 1. Velocity

Explanation: Ans: a (Velocity) Ref: Practical Radiotherapy- physics and equipment 2nd cd/p.9Electromagnetic waves all travel in vaccum with a velocity equal to the velocity of light 3xl08m/s.